In a demographic cycle, If death rate is declining but there is no increase in birth rate this population is called as
1. Early expanding
2. Low stationary
3. High stationary
4. Declining

Correct answer: 1. Early expanding